In congenital adrenal hyperplasia, deficient enzyme is - most womon
1. 11(3 hydroxylase deficiency
2. 21 a hydroxylase deficiency
3. 3a hydroxylase deficiency
4. 17a hydroxylase deficiency

Correct answer: 2. 21 a hydroxylase deficiency

Explanation: Ans. is 'b' i.e., 21-a Hydroxylase Congenital adrenal hyperplasia (CAH) Group of AR disorder MC adrenal disorder in childhood Most common 21-hydroxylase deficiency In 21a-hyroxylese deficiency There is deficiency of mineralocorticoids & glucocorticoid. This leads to hypoglycemia, hyponatremia